Congenital adrenal hyperplasia most commonly presents as
1. Male pseudohermaphroditism
2. Female pseudohermaphroditism
3. True hermaphroditism
4. 46, XY intersex

Correct answer: 2. Female pseudohermaphroditism

Explanation: Female pseudohermaphroditism is genotypically female (46,XY ) but external genitalia looks like that of male.